Internal spermatic fascia is derived from:
1. External oblique aponeurosis
2. Internal oblique fascia
3. Fascia transversalis
4. All of the above

Correct answer: 3. Fascia transversalis

Explanation: Spermatic fasciaIt is a bilayered fascia covering the testis; both layers are derived from abdominal muscle or fascia.The more superficial of these two layers,- The external spermatic fascia, lies deep to the skin and dartos fascia of the testes, superficial to the cremaster muscle, and is a continuation of the aponeurosis of the external oblique muscle.- The deeper internal spermatic fascia is deep to the cremaster muscle, directly surrounds the spermatic cord and its contents, and is a continuation of the abdominal transversalis fascia.